In the grading of trachoma, trachomatous inflammation-follicular is defined as the presence of:
1. 5 or more follicles in the lower tarsal conjunctiva
2. 3 or more follicles in the lower tarsal conjunctiva
3. 5 or more follicles in the upper tarsal conjunctiva
4. 3 or more follicles in the upper tarsal conjunctiva

Correct answer: 3. 5 or more follicles in the upper tarsal conjunctiva

Explanation: Ans. 5 or more follicles in the upper tarsal conjunctiva